Which of the following drugs cause constipation
1. Propanolol
2. Verapamil
3. Nitroglycerin
4. Captopril

Correct answer: 2. Verapamil

Explanation: Refer kDT 6/e p 530 All Calcium channel blockers can cause smooth muscle relaxation in blood vessels and extravascular organs( bronchus GIT urinary bladder and uterus)